Speed of X-ray is equal to:
1. Speed of light
2. Speed of electrons in X-ray tube
3. Tube voltage
4. All of the above

Correct answer: 1. Speed of light

Explanation: Ans. Speed of light